Test for tight iliotibial band is
1. Ober's test
2. Osber's test
3. Simmond's test
4. Charnley's test

Correct answer: 1. Ober's test

Explanation: OBER'S TEST:Used in physical examination to identify tightness of iliotibial band. During the test ,the patient lies on his side with the unaffected leg on the bottom with their shoulder and pelvis in line. The knee may extended or flexed to 90 or 30 degrees.The hip is maintained in slight extension.The test leg is abducted,then allowed to lower toward the table with the pelvis stabilized NORMAL: able to abduct parallel to the examining surface Inability to adduct to parallel indicates tightness of iliotibial band REF : MAHESWARI 9TH ED